Active partner in lesbianism is called as:
1. Femme
2. Bugger
3. Catamite
4. Dyke

Correct answer: 4. Dyke

Explanation: D i.e. Dyke - Section 377 IPC defines and punishes unnatural sexual offences which includes sodomy, buccal coitus, triabadism and beastialityQ. Adultry, incest and rape are natural sexual offencesQ. - In female homosexuality (lesbianism/ triabadism), the active partner is known as dyke or butch and the passive agent (stereo typically feminine in manner & appearance) is called femme. - Beastiality is having intercourse with an animalQ. Pedophile is having anal intercourse with children'. Transvestism or Eonism is desire to be identified with the opposite sex and wearing cloths of opposite sex for sexual pleasureQ.